Gonococci have affinity for -
1. Vaginal mucosa
2. Epithelium of urethra
3. Testis
4. All of the above

Correct answer: 2. Epithelium of urethra

Explanation: Ans. is 'b' i.e., Epithelium of urethra "The pili of gonococcus has affinity for the columnar epithelium of urethra". -- Richard M Hyde"Virulent gonococci have affinity to adhere to urethral epithelial cells even in the presence of the violent flushing of urine".* N. gonorrhoeae is exclusively (obligate) a human pathogen although chimpanzees have been infected artificially.It is never found as a normal commensal although a proportion of those infected, particularly women, may remain asymptomatic. The asymptomatic carrier is the major reservoir.* Incubation period is 2-8 days.* The important infections caused by gonococci are:-1) Males# Acute urethritis is the most common manifestation. Prostate, seminal vesical and epididymis may also be involved.* Testis is usually spared.2) Females# Cervicitis is the most common manifestation, which primarily infects cervical os. Infection may spread to cause salpingitis, urethritis, endometritis, peritonitis and perihepatitis (fitz-hugh-curtis syndrome).# The vaginal mucosa of healthy women is lined by stratified squamous epithelium and is usually not infected by N. gonorrhoeae however, gonococcal vaginitis can occur in anestrogenic women (eg. prepubertal girls and postmenopeusal women) in whom the vaginal stratified epithelial layers are often thinned down to basilar layer, which can be infected by N. gonorrhoea.3) Other infections# These are anorectal gonorrhea (proctitis), pharyngeal gonorrhea, ocular gonorrhea and in children vulvovaginitis.4) Gonorrhea in neonates# The most common form of gonorrhea in neonates is ophthalmia neonatorum which results from exposure to infected cervical secretions during parturition.# Ocular neonatal instillation of a prophylactic agent is a cost effective measure for the prevention of ophthalmia neonatorum.# Septic arthritis is the most common manifestation of systemic infection.5) Disseminated gonococcal infection (DGI) or Gonococcal arthritis# It is produced by strains of Pori A serotype of gonococci. It has two stages:-i) Stage I (Bacteremic stage): There is bacteremia with polyarthralgia and skin lesions (papule, pustules).ii) Stage II (Suppurative arthritis): There is pyogenic arthritis which may cause complications (endocarditis, meningitis).